In Uterine prolapse how to know if ring is in place?
1. If not expelled after increased abdominal pressure
2. If Bleeding does not occur
3. If patient feels discomfort
4. None

Correct answer: 1. If not expelled after increased abdominal pressure

Explanation: A vaginal pessary is a removable device placed into the vagina. * It is designed to support areas of pelvic organ prolapse. * A variety of pessaries are available, including the ring pessaries * If not expelled after increased abdominal pressure ring pessary is supposed to be placed in place REF : BOOK OF GYNECOLOGY SHAW